All of the following condition are associated with granulomatous pathology, except
1. Wegner's granulomatosis (WG)
2. Takayasu arteritis (TA)
3. Polyarteritis nodosa (Classic PAN)
4. Giant cell aentis (GCA)

Correct answer: 3. Polyarteritis nodosa (Classic PAN)

Explanation: Classic PAN is a segmental transmural necrotising inflammation of a small to medium sized arteries, often with superimposed thrombosis. In acute phase , there is a transmural mixed inflammatory infiltrate composed of neutrophils and mononuclear cells frequently accompnied by fibrinoid necrosis and luminal thrombosis Robbins edition 9 page no. 352